In comparison to inhaled adrenergic agonists, the inhaled anticholinergics
1. are more affective in bronchial asthma
2. are better suited for control of an attack of asthma
3. produce slower response in bronchial asthma
4. produce little benefit in chronic obstructive lung disease

Correct answer: 3. produce slower response in bronchial asthma